Helsinki declaration deals with -
1. MTP
2. Human organ transplantation
3. Capital punishment
4. Human experimentation

Correct answer: 4. Human experimentation

Explanation: Ans. is 'd' i.e., Human experimentationo The Declaration of Helsinki is a set of ethical principles regarding human experimentation developed for the medical community by the World Medical Association,o It is widely regarded as the cornerstone document on human research ethicso The Declaration is morally binding on physicians, and that obligation overrides any national or local laws or regulations, if the Declaration provides for a higher standard of protection of humans than the latter,o Investigators still have to abide by local legislation but will be held to the higher standard.